Donovanosis, true is
1. Caused by Calymmatobacterium granulomatis
2. Lymphadenopathy is remarkable & diagnostic
3. Penicillin is drug of choice
4. Characterized by painful genital ulcers

Correct answer: 1. Caused by Calymmatobacterium granulomatis